A 42-year-old man is brought to the trauma center after fall from ladder. Physical exam shows a slightly deformed left lower extremity with a 0.5cms soft tissue defect over the anterolateral aspect of his leg. The wound appears relatively clean with no gross contaminants present. Radiographs depict a short oblique proximal one-third diaphyseal tibia fracture. What is his Gustilo open fracture classification grade
1. I
2. II
3. IIIa
4. IIIb

Correct answer: 1. I

Explanation: This is a Gustilo and Anderson type I fracture. There is a simple fracture pattern in the setting of clean, <1-cm wound.